Autologous bone graft is commonly taken from:
1. Iliac crest
2. Tibial tuberosity
3. Greater trochanter
4. Fibula

Correct answer: 1. Iliac crest

Explanation: Iliac crests are the commonest site for Autogenous bone grafts. Ref: Campbell's Operative Orthopaedics, 11th Edition, Pages 16-20; Essential Orthopedics By J Maheswari, 3rd Edition, Page 70; Rockwood and Green's Fractures in Adults, Volume 2, 7th Edition, Chapter 5, Page 105; Surgical Exposures In Orthopaedics: The Anatomic Approach, Stanley Hoppenfeld, 4th Edition, Chapter 7, Page 361